All of the following statements about cholera are true except -
1. 0 & H antigens measure carrier state
2. Culture medium is TCBS Agar
3. Produces indole and reduces nitrate
4. Synthesize neuraminidase

Correct answer: 1. 0 & H antigens measure carrier state

Explanation: Ans. is 'a' i.e., 0 & H antigens measure carrier state